The most frequent cause of fracture of a root tip
during extraction of a primary molar is
1. Ankylosis of the tooth
2. Improper use of cow horn forceps
3. Presence of supernumerary premolar
4. Root resorption between apex and bifurcation

Correct answer: 4. Root resorption between apex and bifurcation